The following property of saliva affect denture retention?
1. Quality & Quantity of serous & mucous saliva
2. Quantity of mixed saliva
3. Quantity of only serous saliva
4. None of the above

Correct answer: 1. Quality & Quantity of serous & mucous saliva